The Millennium Development Goals (MPG) is to be achieved by the year –
1. 2010
2. 2015
3. 2020
4. 2030

Correct answer: 2. 2015

Explanation: The millennium development Goals (MDG) 

More recently in September 2000, representive for 189 countries met at the millennium summit in New York, to adopt United Nations Millennium Declaration.
The goals in the area of development and poverty eradication are now referred to as "Millennium development Goals" (MDGs).
Governments have set a date of 2015 by which they would meet the MDGs.